Which of the following is the drug of choice for the treatment of Syndrome of Inappropriate Antidiuretic Hormone secretion ?
1. Demeclocycline
2. Vasopressin
3. Thiazide diuretics
4. Chlorpropamide

Correct answer: 1. Demeclocycline